Midazolam causes all except:
1. Anterograde amnesia
2. Retrograde amnesia
3. Causes tachyphylaxis during high dose infusions
4. Decreased cardiovascular effects as compared to propofol

Correct answer: 2. Retrograde amnesia

Explanation: Ans. b. Retrograde amnesia At the time of peak concentration in plasma, hypnotic doses of benzodiazepines (midazolam) can be expected to cause varying degrees of lightheadedness, lassitude, increased reaction time, motor incoordination, impairment of mental and motor functions, confusion, and anterograde amnesia." Midazolam: It causes anterograde amnesiaQ Tolerance and tachyphylaxis may occur, particularly with longer-term infusionsQ(Shafer A. Complications of sedation with midazolam in the intensive care unit and a comparison with other sedative regimens. Crit Care Med. 1998;26(5): 947-56) Benzodiazepine withdrawal syndrome has also been associated with high dose/ long-term midazolam infusionsQ Compared with propofol infusions, midazolam infusions have been associated with a decreased occurrence of hypotensiondeg but a more variable time course for recovery of function after the cessation of the infusion.